Atheromatous plaque do not contain
1. Platelets
2. Neutrophils
3. Smooth muscle fibres
4. Monoctyes

Correct answer: 2. Neutrophils

Explanation: Atherosclerotic plaque have 3 principal components: 1. Cells including smooth muscle cells,macrophages and T cells 2. Extra cellular matrix including collagen,elasticfibers,proteoglycans 3. Intracellular and extracellular lipid Robbins 9th edition page no. 341